All of the following are characteristics of Rett syndrome EXCEPT
1. Autistic behavior
2. Microcephaly
3. Peculiar wringing motion of the hands
4. Autosomal recessive inheritance

Correct answer: 4. Autosomal recessive inheritance

Explanation: The genetics of Rett syndrome has not yet been determined. Although it is thought to be a genetic syn-drome, no inheritance pattern and no enzymatic deficiency or other metabolic explanation has been established for Rett syndrome. The other characteristics (autistic behavior, microcephaly, peculiar wringing motion of the hand, dementia) are common in patients with this disorder.